Feeling of uncertainty and excessive sense of responsibility is seen in:
1. Generalized anxiety disorder
2. OCD
3. Phobia
4. Personality disorder

Correct answer: 2. OCD

Explanation: The cognitive theory of OCD says that the typical abnormalities in OCD include, "excessive or inflated sense of responsibility", "feeling of uncertainty" and "overestimation of threat". Few books are giving the answers as "generalized anxiety disorder" which is incorrect.